A 7-year-old child has normal occlusion except for lingually
erupting maxillary central incisor. He should be treated with:
1. Crossbite elastic
2. Tongue blade therapy
3. Maxillary acrylic inclined plane
4. Myofunctional therapy

Correct answer: 2. Tongue blade therapy

Explanation: Tongue Blade Therapy
Tongue blade therapy can be employed in developing crossbite, when the maxillary incisor is erupting into crossbite and there is adequate space for the tooth to be moved.